30 yrs female presented with unilateral breast cancer associated with axilary lymph node enlargement. Modified radical mastectomy was done, fuhur traeatment plan will be
1. Observation and followup
2. Adriamycin based chemotherapy followed by tamoxifen depending on estrogen\/progesterone receptor status
3. Adriamycin based chemotherapy only
4. Tamoxifen only

Correct answer: 2. Adriamycin based chemotherapy followed by tamoxifen depending on estrogen\/progesterone receptor status

Explanation: . Chemotherapy in Carcinoma Breast (Indications) * In advanced carcinoma breast as a palliative procedure. * In postoperative period after simple mastectomy in stage III carcinoma breast with fixed axillary nodes. * In inflammatory carcinoma of breast. * In stage IV carcinoma breast with secondaries in bone, lungs, liver. * In premenopausal age group with poorly differentiated tumours. Toxic effects are: Alopecia, bone marrow suppression, cystitis, megaloblastic anaemia, GIT disturbances, nephritis. * Neoadjuvant (primary) chemotherapy is useful in large operable primary tumour to make it amenable for conservative breast surgeries. Post operative radiotherapy and chemotherapy is a must in this situation. * High dose chemotherapy with stem cell rescue is not found to be beneficial by trials in patients with heavy large nodal spread. ref:SRB's manual of surgery,ed 3,pg no 487